A 40 year old female patient complains of excessive bleeding. Patient gives a history of RTA 6 hours ago. General physical examination reveals altered mental status. Further investigations suggest blood lactate level- 2.5mmol/L, urine output- reduced, blood pressure- 80/50mmHg, pulse-130bpm, respiratory rate- 24/minute. The patient is in which stage of shock?
1. Compensated
2. Mild decompensated
3. Moderately decompensated
4. Severely decompensated

Correct answer: 3. Moderately decompensated